Coverings of graffian follicle are all EXCEPT:
1. Theca externa
2. Theca interna
3. Germinal cells
4. Granulosa cells

Correct answer: 3. Germinal cells

Explanation: ANSWER: (C) Germinal cellsREF: Ganong s 22nd ed chapter 23Coverings of the mature or graffian follicle are (From inner to outer)Innermost the Granulosa cellsThe theca internaThe theca externa